Rib notching is seen in all except
1. Coarctation of aorta
2. Classical blulock tausing operation
3. IVC obstruction
4. Neurofibromatosis

Correct answer: 3. IVC obstruction

Explanation: Rib notching is unusual in infancy but becomes more frequent with increased age; it is present in 75% of adults with coarctation. Rib notching occurs along the inferior margin of the third to the eighth ribs; it is caused by pulsation of dilated intercostal arteries Non-vascular causes of rib notching include neurofibromatosis, intercostal neuromas and pseudo-rib notching where irregular cortical thickening may occur in the presence of tuberous sclerosis and hyperparathyroidism. Degrees of rib notching on chest radiography may also be of no clinical significance. Ref Harrison20th edition pg 1765